A drug X belongs to the anti cholinergic drug group. It is primarily used in preanesthetic medication and also during surgery. Which of the following can be X
1. Glycopyrrolate
2. Pipenzolate methyl bromide
3. Isopropamide
4. Dicyclomine

Correct answer: 1. Glycopyrrolate

Explanation: Ref-KDT 6/e p110 Glycopyrrolate is use it to reduce the secretion (to prevent reflex bronchospasm) during anaesthesia. It is mainly used as preanesthetic medication